True about anaphylactic shock
1. Raised PR
2. Peripheral vasoconstriction
3. Raised BP
4. Raised cardiac output

Correct answer: 1. Raised PR

Explanation: Due to histamines vasodilation occurs.